Trisodium phosphate added to alginate contributes towards:
1. Increasing the working time of alginate impression material
2. Acts as an accelerator
3. Initiating the setting reaction
4. Provides gel strength

Correct answer: 1. Increasing the working time of alginate impression material